All are features of renal tubular acidosis type I except -
1. Stone in kidney
2. No anion gap
3. Hypokalemia
4. Fanconi syndrome

Correct answer: 4. Fanconi syndrome